Tobey-Ayer test is done for:
1. Acantholysis
2. Hemoglobinuria
3. Ketosis
4. Lateral sinus thrombosis

Correct answer: 4. Lateral sinus thrombosis

Explanation: Tobey - Ayer test This is to record CSF pressure by manometer and to see the effect of manual compression of one or both jugular vein. Compression of vein on the thrombosed side produces no effect while compression of vein on normal side produces rapid rise in CSF pressure which will be equal to bilateral compression of jugular veins It is done for lateral sinus thrombosis